Which is true about Intusssusception ?
1. Common in neonates
2. Fever always present
3. Not associated with tumors of intestine
4. Usually relieved by barium enema

Correct answer: 4. Usually relieved by barium enema

Explanation: Ans. is 'd' i.e., Usually relieved by barium enema